Gene of wilsons disease is
1. ATP 7A
2. ATP 7B
3. ADP 7A
4. ADP 7B

Correct answer: 2. ATP 7B

Explanation: In Wilson's disease, the initial steps of dietary absorption and transport of copper to the liver are normal but copper accumulates in the liver rather than being excreted by the liver. The underlying defect in chromosome 13 is a mutation in ATP7B gene, the normal hepatic copper excreting gene. TEXTBOOK OF PATHOLOGY 6TH EDITION HARSH MOHAN PAGE NO:628 IMAGE REF: